The microsomal enzyme involved in the metabolism of omeprazole is
1. CYP 2A
2. CYP 2C19
3. CYP 2C8
4. CYP 2B

Correct answer: 2. CYP 2C19

Explanation: Omeprazole and clopidogrel are mainly metabolized by CYP2C19.Other drugs metabolized by this enzyme are anti anxiety drugs like diazeoam. Induced by drugs rifampicin and barbituates. Ref: KATZUNG; 13th ed / Page: 80